Signs of organophosphorous poisoning are all EXCEPT:
1. Bradycardia
2. Salivation
3. Miosis
4. Bronchodilatation

Correct answer: 4. Bronchodilatation

Explanation: ANSWER: (D) BronchodilatationREF: Textbook of Forensic Medicine and Toxicology: Principles and Practice, 5/e By Krishan Vij page 533"Bronchoconstristition (bronchospasm) not bronchodilatation is seen in OPC poisoning"'Muscarinic signs of OPC poisoning can be remembered as SLUDGE- BBB: Salivation, Lacrimation, Urination, Defecation, Gastric upset, Emesis, Bronchospasm, Blurred vision (Miosis), Bradycardia.